Dale's vasomotor reversal -
1. Stimulation of alpha-1 receptors
2. Stimulation of alpha-2 receptors
3. Stimulation of beta-1 receptors
4. Stimulation of beta-2 receptors

Correct answer: 4. Stimulation of beta-2 receptors

Explanation: Ans. is 'd' i.e., Stimulation of beta-2 receptors